Earliest changes of neoplastic transformation as seen at a microscope level is called
1. Hyperplasia
2. Metaplasia
3. Dysplasia
4. Carcinoma insitu

Correct answer: 3. Dysplasia

Explanation: dysplasia is the loss of uniformity of individual cells as well as their architectural orientation carcinoma in situ dysplasia changes are marked but , lesion remains confirmed to normal tissue; pre invasiveneoplasm basement membrane is intact anaplasia is complete lack of differentiation of cells both morphologically and functionally